Marchiafava-Bignami diseaseis characterized by?
1. Callosal atrophy
2. Cerebellar atrophy
3. Brainstem atrophy
4. Cerebral peduncular atrophy

Correct answer: 1. Callosal atrophy

Explanation: Ans AIt is a rare CNS disorder associated with chronic alcoholism or malnutrition. On imaging there is corpus callosal atrophy and demyelination.Sandwich sign and ears of lynx sign maybe seen.